True about Nocardia is all except
1. Most commonly causes pneumonia
2. Is aerobic
3. Acid fast properties
4. Pencillin is the drug of choice

Correct answer: 4. Pencillin is the drug of choice

Explanation: Pencillin is the drug of choice